A person is declared dead if not seen by relatives for how many years -
1. 3 years
2. 7 years
3. 10 years
4. 12 years

Correct answer: 2. 7 years

Explanation: Ans. is 'b' i.e., 7 yearso A person is legally declared dead if not seen for 7 years from the date of declared missing.